Lens derives its nutrition from
1. Tears
2. Small capillaries
3. Aqueous
4. None

Correct answer: 3. Aqueous

Explanation: The lens derives its nutrients from the aqueous humor and the vitreous body . Ref - sciencedirect.com